Which is the most common site of subcutaneous nodules in rheumatoid arthritis -
1. Elbow
2. Wrist
3. Achilles tendon
4. Occiput

Correct answer: 1. Elbow